All of the following take part in male gential tract development except
1. SRY
2. SOX-9
3. FGF-9
4. WNT-4

Correct answer: 4. WNT-4

Explanation: The Y chromosome has a gene, SRY, present on the shortarm which is responsible for the development of testis. Apart from the direct action on the gonad, this factor influences other genes like SOX-9, FGF-9.Under the influence of these genes sertoli cells are formed from cells of sex cords and leydig cells from mesenchymal cells of gonadal ridge. The ovary is formed under the influence of WTN-4 gene.The estrogens influence the formation of internal and external genital organs. HUMAN EMBRYOLOGY,INDERBIR SINGH,PG NO:277,9th edition